In an adult male, on per rectal examination, the following structures can be felt anteriorly except
1. Internal iliac lymph nodes
2. Bulb of the penis
3. Prostate
4. Seminal vesicle when enlarged

Correct answer: 1. Internal iliac lymph nodes

Explanation: Per rectal examination On initial insertion of the finger, feel for the anal intermuscular groove. Make an assessment of the tone of the internal sphincter digitally with the patient at rest, and of the external sphincter when the patient is asked to squeeze the examining finger. Feel for induration around the anal canal; above the levators, induration feels bony hard like the sacrum lying posteriorly, Anteriorly, in men, feel the prostate and assess it for size,consistency and the presence of the median sulcus. A long digit may reach the seminal vesicles, especially if the patient is in the knee elbow position. In women, the cervix uteri can be felt projecting through the anterior rectal wall. Source : Hamilton bailey 19th edition